All of the following are functions of CD4 helper cells, except -
1. Immunogenic memory
2. Produce immunoglobulins
3. Activate macrophages
4. Activate cytotoxic cells

Correct answer: 2. Produce immunoglobulins

Explanation: Based on the secretion of different cytokines CD4 Helper T cells are divided into TH1 and TH2.
Based on function CD4 helper T cells are divided into-

1) Effector CD4 helper T-cells 
- These cells secrete cytokines and other products that perform all major functions.
- These include TH1 and TH2 helper cells.
- Functions are-
A) By TH1 cells

Activate macrophages
Delayed hypersensitivity
Cell-mediated immunity
The killing of intracellular microbes. e.g. tuberculosis and leprosy
Destruction of target cells by-


Activate CD8 T cells to become cytotoxic cells.
Activate NK cells

B) By TH2 cells
i)    Activate B cells to develop into antibody-producing plasma cells → facilitate the synthesis of antibodies.
2) Memory CD4 helper T cells 

Retain the antigenic affinity of the originally activated T cells and are used to act as later effector cells during a second immune response.